All are the phases of child sexual abuse except :
1. Engagement
2. Sexual interaction
3. Secrecy
4. Bargaining

Correct answer: 4. Bargaining

Explanation: Bargainingis the stage of dying , not included in phase of child sexual abuse Child sexual abuse =Sexual behavior between achild and an adult or between two children when one of them is significantly older or uses coercion. =Phases Engagement: Sexual interaction Secrecy Disclosure Suppression